Defect in Bernard soulier lies in -
1. Gplb-IX
2. GpIIIa-IIb
3. Gplla-Iilb
4. GpIIIb-IIa

Correct answer: 1. Gplb-IX

Explanation: Ans. is 'a' i.e., GpIb-IX